In MEN syndromes 2A and 2B, which growth factor receptor shows point mutation?
1. TP53
2. RET
3. KIT
4. MSH 2

Correct answer: 2. RET